Slap cheek appearance is seen in -
1. Erythema infectiosum
2. Exanthem subitum
3. Roseola infantun
4. None of above

Correct answer: 1. Erythema infectiosum

Explanation: Ans. is 'a' i.e., Erythema infectiosum o Erythema infectiosum (also known as fifth disease) is usually a benign childhood condition characterized by aclassic slapped-cheek appearance (see the image below) and lacy exanthem. It results from infection with human parvovirus (PV) B19. an erythrovirus.o Human herpesvirus 6 (HHV-6) is a dominant cause of roseola infantum (exanthem subitum or sixth disease).